Hansen’s bacillus is cultured in
1. LJ medium
2. Robertson’s cooked meat medium
3. Foot pad of mice
4. Sabouraud’s agar

Correct answer: 3. Foot pad of mice

Explanation: Hansen’s bacillus is M. leprae and can be grown in Armadillo and Foot pad of mice.